Which of the following malformation in a newborn is specific for maternal insulin dependent diabetes mellitus ?
1. Transposition of great arteries
2. Caudal regression
3. Holoprosencephaly
4. Meningmyelocele

Correct answer: 2. Caudal regression

Explanation: The fetal malformations seen in Caudal regression syndrome are the most typical seen in cases of maternal diabetes'.- Early detection of caudal regression syndrome, D. Subtil et al.
Caudal regression :

Caudal regression syndrome (CRS) is a rare malfonnative syndrome seen mainly in cases of maternal diabetes with poor metabolic control.
This syndrome associates vertebral agenesis of variable level with genito-urinary and digestive malformations. These abnormalities are related to the impaired development of the mid-posterior axis mesoderm